Neisseria meningitidis possesses following virulent factors EXCEPT:
1. Capsule
2. Lipo-oligosaccharide(LOS)
3. p lactamase
4. IgA protease cation

Correct answer: 3. p lactamase

Explanation: Ans. (c) b lactamaseRef.: Microbiology by Ananthanarayan and Paniker 8th ed. /224-26* Lipo-oligosaccharide (LOS) is a component of the outer memberane of N. meningitidis which acts as an endotoxin which is responsible for septic shock and hemorrhage due to the destruction of red blood cells.* Other virulence factors include a polysaccharide capsule which prevents host phagocytosis and aids in evasion of the host immune response; and fimbriae which mediate attachment of the bacterium to the epithelial cells of the nasopharynx.* Beta-lactumases are enzymes (and not virulence factors) produced by some bacteria and are responsible for their resistance to beta-lactam antibiotics like penicillins and carbapenems